Bony deformities, hyperpigmentation of the skin, precocious puberty is seen in :
1. Alport's syndrome
2. McCune Albright's syndrome
3. Laurence-Moon-Beidi syndrome
4. Frohlich's syndrome

Correct answer: 2. McCune Albright's syndrome

Explanation: McCune Albright's syndrome